Fifth clinical sign i.e., loss of function (functio laesa) was added by:
1. Rudolf Virchow
2. Elie Metchinkoff
3. Louis Pasteur
4. George Bernard

Correct answer: 1. Rudolf Virchow

Explanation: Acute inflammation Four cardinal signs of inflammation was given by Celsus. Rubor (redness) Tumor (swelling) Calor (heat) Dolor (pain). These signs are hallmarks of acute inflammation. A fifth clinical sign, loss of function (functio laesa), was added by Rudolf Virchow in the 19th century. Metchinkoff described process of phagocytosis.